Cervical was are seen with which HPV
1. 11,13
2. 6,11
3. 17,18
4. 5,8

Correct answer: 2. 6,11

Explanation: Cervical was are seen with HPV type 6,11 which are of low oncogenic potential and HPV type 16,18 which are of high oncogenic potential. From illustrated synopsis of dermatology and sexually transmitted diseases neena khanna 5th edition page no 287